Positive Acute phase reactants are all except :
1. Serum Amyloid A protein
2. Transthyretin
3. Fibrinogen
4. Hepcidin

Correct answer: 2. Transthyretin

Explanation: Acute phase reactants - Plasma proteins which are either increased or decreased during inflammation. Proteins which are increased are called as Positive Acute phase reactants and which are decreased are know as Negative Acute phase reactants.